Distal extension RPD is
1. Both tissue and tooth borne
2. Tooth borne
3. Class III condition
4. Class IV condition

Correct answer: 1. Both tissue and tooth borne